Therapeutic drug monitoring is required for:
1. Prodrugs
2. Levodopa
3. Lithium carbonate
4. MAO inhibitors

Correct answer: 3. Lithium carbonate